The trend of wents with passage of time is best shown method
1. Line diagram
2. Scatter diagram
3. Pia chart
4. Histogram

Correct answer: 1. Line diagram

Explanation: Line diagram is guantitative data.
It shows trend of an event a period of time.